Most dangerous type of diptheria:
1. Facial
2. Laryngeal
3. Nasal
4. Cutaneous

Correct answer: 2. Laryngeal

Explanation: Ans. is. 'b' i. e. Laryngeal